Newborn commonly has all of the following except
1. Milia
2. CSF : Blood glucose ratio: > 0.6
3. Umbilical discharge
4. Stork bites

Correct answer: 3. Umbilical discharge

Explanation: Umbilical discharge is not a common thing seen in infants. It is seen in patent vitellointestinal duct . Reference: GHAI Essential pediatrics, 8th edition